Koplik spots are characteristic of:-
1. Chicken pox
2. Mumps
3. HIV
4. Measles

Correct answer: 4. Measles

Explanation: Koplik spots - pathognomic feature of Measles. Retro auricular origin - Rash in measles. lower 2nd molar on Buccal mucosa. - Pathognomic feature of Rabies is hydrophobia. - Pathognomic feature of Diphtheria is bull neck.